Indication for surgery in benign prostatic hypertrophy are all except -
1. Prostatism
2. Chronic retention
3. Hemorrhage
4. Enlarged prostate

Correct answer: 4. Enlarged prostate